The following muscles are attached to the coracoid process of the scapula except -
1. Coracobrachialis
2. Short head of biceps
3. Pectoralis minor
4. Long head of triceps

Correct answer: 4. Long head of triceps

Explanation: Attachments on Coracoid process
-        Tip of coracoid process

Medial- Corachobrachialis (origin)
Lateral- Short head of biceps (origin)
Upper surface- Pectoralis minor (insertion)